40 year old female, who has multiple sexual partners presented with fever, rash and articular symptoms. Migratory arthritis and tenosynovitis of knees, hands, wrists, feet and ankles noticed during clinical examination. Synovial fluid leukocyte count was 12,000/ml and culture was sterile. The patient has been successfully treated with injection ceftriaxone 1 g Q24 hours for 7 days. What was the diagnosis in this setting?
1. Arthritis due to Pseudomona aeruginosa
2. Disseminated gonococcal infection
3. Gonococcal septic arthritis
4. Syphilitic arthritis

Correct answer: 2. Disseminated gonococcal infection

Explanation: Gonococcal arthritis has accounted for up to 70% of episodes of infectious arthritis in persons True gonococcal septic arthritis is less common than the DGI syndrome and always follows disseminated gonococcal arthritis, which is unrecognized in one-third of patients. A single joint such as the hip, knee, ankle, or wrist is usually involved. Synovial fluid, which contains >50,000 leukocytes/L. Initial treatment consists of ceftriaxone (1 g IV or IM every 24 h). Ref: Harrisons Principles of Internal Medicine, 18th Edition, Page 2845